Mallampatti test is used for:
1. To check the size of tongue for laryngoscope
2. To check the movement of cervical spine
3. To check the flexion and extension of neck
4. To check the size of endotracheal tube

Correct answer: 1. To check the size of tongue for laryngoscope